Vitamin B12 and folic acid supplementation in megaloblastic anemia leads to the improvement of anemia due to :
1. Increased DNA synthesis in bone marrow
2. Increased Hemoglobin production
3. Erythroid hyperplasia
4. Increased iron absorption

Correct answer: 1. Increased DNA synthesis in bone marrow

Explanation: A i.e. Increased DNA synthesis in bone marrowCobalt containing Vitamin B12 is found only in food of animal origin and is absorbed from distal ileumQ. B12 & folic acid supplements treat pernicious (megaloblastic) anemia by increasing DNA synthesis in bone marrowQ.